Which of the following is not seen in superior oblique palsy
1. Abnormal head posture
2. Facial assymetry
3. Diplopia
4. Ptosis

Correct answer: 4. Ptosis

Explanation: Ptosis is seen in 3rd nerve palsy and not superior oblique palsy SUPERIOR OBLIQUE PALSY Superior Oblique action is Intorsion, Depression in adduction, better Intorter on Abduction. Patients complain of diplopia - vertical, diagonal or torsional If the principal complaint is torsion - B\L palsy should be suspected Patient presents with Compensatory head posture Facial Asymmetry Chin down in B\L palsies